Sicca syndrome is associated with all, except -
1. Midline granuloma
2. Chronic active hepatitis
3. Rheumatoid arthritis
4. Scleroderma

Correct answer: 1. Midline granuloma